All are true about starting of beta-blocker therapy in a patient with congestive heart failure except:
1. They should be started with optimum doses
2. They should be gradually increased over weeks
3. Special precautions should be taken in cases of NYHA class 3 and 4
4. Carvedilol and metoprolol are the preferred drugs

Correct answer: 1. They should be started with optimum doses

Explanation: Ref: good man and gilman, 11/e p1336 Clinical use of beta adrenergic receptor antagonistsin heart failure